ARDS is associated with -
1. Acute pancreatitis
2. Trauma
3. Severe Falciparum Malaria
4. All of the above

Correct answer: 4. All of the above